All are true about nephronophthisis except:
1. Interstitial fibrosis
2. Cortical tubular hypertrophy
3. Cysts in the medulla
4. 20% cases are non-familial

Correct answer: 2. Cortical tubular hypertrophy

Explanation: 2 types of cystic disease affecting the renal medulla are : 1. Medullary sponge kidney Relatively common Usually innocuous condition Associated with nephrolithiasis 2.Nephronophthisis- Medullary cystic disease complex Associated with renal dysfunction. Cause of chronic kidney disease that usually begins in childhood. Cortical tubulointerstitial damage and not hypertrophy occurs in nephronophthisis.